Screening for Diabetic Retinopathy must be done at what duration from the time of diagnosis of Diabetes?
1. Type 2 DM Immediately
2. Type 2 DM Within 6 months
3. Type 2 DM Within 1 year
4. Type 1 DM Within one week

Correct answer: 1. Type 2 DM Immediately

Explanation: When to screen * Type-1 diabetes: Within 5 years of diagnosis. * Type-2 diabetes- Immediate fundus examination * MODY & GDM: Immediate